Bag and mask ventilation is contraindicated in ?
1. Cleft lip
2. Meconium aspiration
3. Diaphragmatic hernia
4. Multicentric bronchogenic cyst

Correct answer: 3. Diaphragmatic hernia

Explanation: Ans. is 'c' i.e., Diaphragmatic hernia o In diaphragmatic hernia, the abdominal contents herniating into thoracic cavity have already compromised ventilation. o Giving bag and mask ventilation to this patient will worsen the condition of the patient as air will also enter in the stomach and further compress the lungs. o Indications of Bag and Mask ventilation. Bag and mask ventilation is indicated if even after tactile stimulation. a) The infant is apneic or gasping b) Respiration is spontaneous but heart rate is below 100 beats/minute. Remember Bag and mask ventilation causes abdominal distention as air or oxygen not only enters the lung, but also escapes into the stomach esophagus. Distended stomach presses on the diaphragm and compromises ventilation. Therefore if ventilation continues for more than two minutes, an orogastric tube should be inserted and left open to decompress the abdomen.